Linear filling defect on ERCP is characteristic of -
1. Bile duct stone
2. Pancreatic duct stone
3. Worm in biliary tree
4. Stricture

Correct answer: 3. Worm in biliary tree

Explanation: Ans. is 'c' i.e., Worm in biliary tree Imaging in ascariasiso Plain abdominal X ray: calcified worm,o USG: moving echogenic structures or strips,o ERCP: linear filling defect.